The following is not a feature of malignant transformation by cultured cells -
1. Increased cell density
2. Increased requirement for growth factors
3. Alterations of cytoskeletal structures
4. Loss of anchorage

Correct answer: 2. Increased requirement for growth factors

Explanation: Cultured cells undergoing malignant transformation do not show increased requirement of growth factors. On the contrary they lose the requirement of growth factors.